High output cardiac failure is seen in:
1. Thyrotoxicosis
2. Congestive cardiac failure
3. Corpulmonale
4. Aortic stenosis

Correct answer: 1. Thyrotoxicosis